Sclera is thinnest at -
1. Limbus
2. Equator
3. Anterior to attachment of superior rectus
4. Posterior to attachment of superior rectus

Correct answer: 4. Posterior to attachment of superior rectus

Explanation: Thickness of sclera varies considerably in differentindividuals and with the age of the person. It isgenerally thinner in children than the adults and infemales than the males. Sclera is thickest posteriorly(1mm) and gradually becomes thin when tracedanteriorly. It is thinnest at the insertion of extraocularmuscles (0.3 mm). REF:Comprehensive ophthalmology,20th edition,AK Khurana,pg no.127.